Dalen Fuch's nodules are seen in:
1. Sympathetic ophthalmia
2. Phthisis bulbi
3. Absolute glaucoma
4. Pseudo xanthoma elasticum

Correct answer: 1. Sympathetic ophthalmia

Explanation: Sympathetic ophthalmia